The amino acid which is associated with atherosclerosis is
1. Lysine
2. Homocysteine
3. Cysteine
4. Alanine

Correct answer: 2. Homocysteine

Explanation: Ref Harrison 19 th ed pg 1579 There is a strong positive correlation between atherosclerosis and circulating levels of homocysteine.